True about Hirschsprung's disease:a) Pathology of myenteric plexus of Auerbachb) Blood in stoolsc) May involve small intestine rarelyd) Involved segment of intestine is dilatede) Present only in infant & children
1. a
2. ac
3. ad
4. b

Correct answer: 2. ac

Explanation: Small intestine may be involved rarely (~5%) - CSDT 13/e p1180 (11/e p1321)